Which of the following vaccines is most sensitive to heat?
1. Oral Polio vaccine
2. BCG vaccine
3. DPT vaccine
4. Measles vaccine

Correct answer: 1. Oral Polio vaccine

Explanation: - Heat sensitive vaccines: OPV - most heat sensitive. Hence stored in freezer Reconstituted BCG Measles vaccine ***Note: For heat sensitivity: Reconstituted BCG > OPV > BCG -Light sensitive vaccines: Measles vaccine BCG Rota JE vaccine -Freeze sensitive vaccines: Hep B Pentavalent TT DPT vaccine